Which local anaesthetic has highest protein binding capacity –
1. Lignocaine
2. Tetracaine
3. Prilocaine
4. Procaine

Correct answer: 2. Tetracaine

Explanation: Amongst given options tetracaine has maximum protein binding.